CT findings of acute pancreatitis are – a) Fuzzy outline of pancreasb) Dilatation of pancreatic duct systemc) Peripancreatic fluid collectiond) All
1. a
2. bc
3. ad
4. ac

Correct answer: 4. ac